Erythromycin is given in intestinal hypomotility because :
1. It increases bacterial count
2. It decreases bacterial count
3. It binds to adenylyl cyclase
4. It binds to motilin receptors

Correct answer: 4. It binds to motilin receptors